Drug of choice for impetigo herpetiformis is –
1. Prednisolone
2. Dapsone
3. Acitretin
4. Methotrexate

Correct answer: 1. Prednisolone

Explanation: Impetigo herpetiformis can usually be successfully treated with topical and systemic corticosteroids.